What is the maximum radiation dose to point A for early and advanced Ca cervix?
1. 80-85 and 85-90 gy.
2. 85-90 and 90-95 gy
3. 75-80 and 80-85 gy
4. 70-75 and 75-80 gy

Correct answer: 1. 80-85 and 85-90 gy.

Explanation: Ans. 80-85 and 85-90 gy